All of the following are true about case control study except-
1. Rapid and inexpensive
2. No risk to subjects
3. Risk factor can be identified
4. Less prone to bias

Correct answer: 4. Less prone to bias

Explanation: Bias in case-control study: Bias due to confounding Memory or recall bias Selection bias Berkesonian bias Interviewers bias (refer pgno:74 park 23 rd edition)